Secondary deposits from carcinoma breast are commonest in
1. Lung
2. Liver
3. Brain
4. Bone

Correct answer: 4. Bone

Explanation: Bone metastasis is commonest. In order of frequency the lumbar vertebrae, femur, thoracic vertebrae, rib and skull are affected and these deposits are generally osteolytic.Metastases may also commonly occur in the liver, lungs and brain and, occasionally, the adrenal glands and ovaries.Ref: Bailey and Love, 27e, page: 873